All are prognostic indicators of pregnancy induced hypertension. Except -
1. Low platelets
2. Serum Na
3. Elevated liver enzymes
4. Serum uric acid

Correct answer: 2. Serum Na

Explanation: Ans. is 'b' Raised serum Na (Ref Dutta, 6/e, p 226, 227 (4/e, p. 247, 239)).Prognostic indicators of pregnancy induced hypertension are not mentioned any where. Only factors which are used to assess the severity and the parameters used in progress chart after treatment are given in Dutta.These factors can be used to assess prognosis in case of PIH. These factors are :Blood pressureProtein excretionPlatelet countSerum uric acidElevated liver enzymeBlood urea nitrogenOphthalmological examination for retinal hemorrhages or exudates